A 26-year-old G1P0 in her 16th week gestation got a quad screen and had result suggesting a 1:50 risk for Down syndrome. You perform an ultrasound that places the fetus currently at 15wks and 5 days gestation. You should counsel which of the following?
1. The quad screen was drawn too early.
2. For this quad screen she should have an amniocentesis now
3. It would be safe to wait until 22 weeks for her amniocentesis.
4. She should consider termination as an option considering abnormal quad screen

Correct answer: 2. For this quad screen she should have an amniocentesis now

Explanation: The patient had a high risk result in the screening test and hence a diagnostic test should be performed. The best procedure at this gestational age is an amniocentesis which will assess the fetal karytotype and also the genetic make up.